Biological value is maximum in:
1. Egg
2. Milk
3. Soyabean
4. Pulses

Correct answer: 1. Egg

Explanation: Egg